All of the following muscles are supplied pharyngeal plexus except
1. Palatoglossus
2. Salpingopharyngeus
3. Stylopharyngeus
4. Cricopharyngeus

Correct answer: 3. Stylopharyngeus

Explanation: Ninth nerve (glossopharyngeal) is the nerve of third branchial arch, and supplies, the stylopharyngeus. Ref: BD Chaurasia's HUMAN ANATOMY, Volume 3,fourth edition.